A rnultilocular cyst of the jaw is more likely:
1. Dental cyst.
2. Dentigerous cyst.
3. Keratocyst
4. Simple bone cyst.

Correct answer: 3. Keratocyst